Mineral toxicity of Manganese produces
1. Menkes syndrome
2. Impaired immunity
3. Cardiomyopathy
4. Neurologic symptoms resembling those of parkinsonism

Correct answer: 4. Neurologic symptoms resembling those of parkinsonism

Explanation: (D) Neurologic symptoms resembling those of parkinsonism TRACE MINERALSNutrientFunctionsEffects of DeficiencyToxicity* ChromiumPromotion of glucose tolerancePossibly impaired glucose tolerance * CopperEnzyme component, hematopoiesis, bone formationAnemia in undernourished children, Menkes (kinky-hair) syndromeWilson disease, copper poisoning* FluorineBone and tooth formationPredisposition to dental caries, possibly osteoporosisFluorosis, mottling and pitting of permanent teeth, exostoses of spine* IodineThyroxine (T4) and triiodothyronine (T3) synthesis, development of fetusSimple (colloid, endemic) goiter, cretinism, deaf-mutism, impaired fetal growth and brain developmentHyperthyroidism or hypothyroicism* IronHemoglobin & myoglobin formation, cytochrome enzymes, iron-sulfur proteinsAnemia, pica, glossitis, angular cheilosisHemochromatosis, cirrhosis, diabetes mellitus, skin pigmentation* ManganeseHealthy bone structureComponent of manganese-specific enzymes: glycosyltransferases, phosphoenolpyruvate carboxykinase, manganese-superoxide dismutaseQuestionableNeurologic symptoms resembling those of parkinsonism or Wilson disease* MolybdenumComponent of coenzyme for sulfite oxidase, xanthine dehydrogenase, and one aldehyde oxidaseTachycardia, headache, nausea, obtundation (sulfite toxicity) * SeleniumComponent of glutathione peroxidase and thyroid hormone iodinaseKeshan disease (viral cardiomyopathy), muscle weaknessHair loss, abnormal nails, nausea, dermatitis, peripheral neuropathy* ZincEnzyme component, skin integrity, wound healing, growthImpaired growth and delayed sexual maturation, hypogonadism, hypogeusiaRBC microcytosis, neutropenia, impaired immunity